NOT a content of Deep perineal pouch among the following is
1. External urethral sphincter
2. Prostatic urethra
3. Bulbourethral gland
4. Deep transverse perineal muscle

Correct answer: 2. Prostatic urethra

Explanation: Membranous urethra is a content of Deep perineal pouch, not prostatic urethra.